Goal for blindness under NPCB is to reduce prevalence of blindness in 2020 to ?
1. 0.10%
2. 0.30%
3. 0.50%
4. 1.00%

Correct answer: 2. 0.30%

Explanation: NPCB:National programme for control of blindness Launched in the year 1976 as a 100% centrally sponsored programme and incorporate the earlier trachoma control programme started in the year 1968. The programme was launched with the goal to reduce the prevalence of blindness from 1.4 to 0.3 %. Objectives:- 1. Reduce the backlog of avoidable blindness through identification and treatment of curable blind at primary, secondary and tertiary levels. 2. Develop and strengthen the strategy of NPCB for "Eye health for all" and prevention of visual impairment through provision of comprehensive universal eye care services. 3. Strengthen and upgrade the Regional institutes of ophthalmology to become centre of excellence in various sub specialities of ophthalmology. 4. Strengthening the existing infrastructural facilities and developing additional human resource for providing high quality comprehensive eye care in all districts of the country. 5. To enhance community awareness on eye care and lay stress on preventive measures. 6. Increase and expand research for prevention of blindness and visual impairment. 7. To secure participation of voluntary organisations or private practitioners in eye care delivery. School eye screening programme:- Children are first screened by trained teachers . Children suspected to have refractive error are seen by ophthalmic assistants and corrective spectacles are prescribed or given free for persons below poverty line. {Reference-park's textbook of preventive and social medicine, 23rd edition, pg no.439}